All are features of organophosphorus poisoning except
1. Dilated pupil
2. Brady cardia
3. Lacrimation
4. Sweating

Correct answer: 1. Dilated pupil

Explanation: A i.e. Dilated pupil